Headlight in fog appearance is seen in which retinal choroiditis
1. Toxoplasma
2. CMV retinitis
3. Candida retinitis
4. Toxocara

Correct answer: 1. Toxoplasma

Explanation: Toxoplasma retinochoroidal lesions appear as a headlight in fog appearance due to active retinitis Presence of active retinal lesions with severe vitreous inflammatory reaction can cause the classic 'headlight in the fog' appearance. In these cases the hallmarks of retinal disease include bilateral disease, old retinal scars, and involvement of the macula. Reference: Aravind FAQS in Ophthalmology; First Edition; Page no: 148